In all of the following conditions exhumation is usually done, EXCEPT:
1. Suicide
2. Homicide
3. Death as a result of criminal abortion
4. Death due to criminal negligence

Correct answer: 1. Suicide

Explanation: Exhumation is the digging out of an already buried body from the grave. Autopsies are performed on exhumed bodies: In criminal cases, such as homicide, suspected homicide disguised as suicide or other types of death, suspicious poisoning, death as a result of criminal abortion and criminal negligence. In civil cases, such as accidental death claim, insurance, workmen's compensation claim, liability for professional negligence, survivorship and inheritance claims or disputed identity. Ref: The Essentials of Forensic Medicine and Toxicology by K S Narayan Reddy, 27th edition, Page 118.